The incidence of bilaterality in a dermoid cyst is approximately
1. 10%
2. 30%
3. 50%
4. 70%

Correct answer: 1. 10%

Explanation: Dermoid cyst is a benign germ cell tumour (very rarely malignant 1.7% typically in women older than 40 years). They are bilateral in 10% cases, usually unilocular with smooth surface, contains hair and sebaceousmaterial, lined in part by squamous epithelium.